Maximum absorption of water takes place in
1. Proximal convoluted tubule
2. Distal convoluted tubule
3. Collecting duct
4. Loop of Henle

Correct answer: 1. Proximal convoluted tubule

Explanation: Ascending limb of the loop of Henle and an early segment of distal tubule is impermeable to water. Maximum of filtered water (60-70%) is reabsorbed in the proximal tubule, with or without Vasopressin. This is independent of the fluid and electrolyte status of the body.